Klatskin tumor is
1. Merkel cell carcinoma of skin
2. Primitive neuroectodermal tumor of chest wall
3. Common hepatic duct tumor
4. Adenocarcinoma of anal cancer

Correct answer: 3. Common hepatic duct tumor

Explanation: Hilar cholangiocarcinoma is also known as Klatskin tumor Bismuth - corlette classification of Hilar Cholangiocarcinoma Type I- Tumor confined to hepatic duct, not involving the main biliary confluence Type II- Tumor involving the main biliary confluence but not extending to the right or left ducts Type IIIa- Tumor extending upto the right secondary biliary confluence Type IIIb- Tumor extending upto the left secondary biliary confluence Type IV - Tumor extending bilaterally to the secondary biliary confluence Ref : Sabiston 20th edition Pgno :1514-1518